Cause of cherry red spot
1. CRVO
2. Berlin's odema
3. Eales disease
4. All of the above

Correct answer: 2. Berlin's odema

Explanation: Most important cause is trauma (Berlin's odema).